Cauliflower ear is seen in
1. Pseudomonas infection
2. Aspergillus infection
3. Post traumatic cases
4. Tuberculosis

Correct answer: 3. Post traumatic cases

Explanation: Hematoma of the auricle*It is the collection of blood between the auricular cartilage and its perichondrium. It usually occurs due to blunt trauma and often seen in boxers, wrestlers and rugby players, therefore it is also called Boxer's ear *If hematoma gets infected severe perichondritis may set inRef: PL Dhingra, Diseases of Ear, Nose & Throat, 7th edition, pg no. 52